caldwell view is done for:
1. Sphenoid sinus
2. Maxillary sinus
3. Ethmoid sinus
4. Frontal sinus

Correct answer: 4. Frontal sinus

Explanation: Lateral view is best for the sphenoid sinus. Caldwell view is the occipito frontal view. The frontal sinuses are seen clearly in this view. Ref Dhingra 6/e,p 434.